Which of the following is the terminal group of a lymph node for colon?
1. Paracolic
2. Epicolic
3. Preaortic
4. Ileocoic

Correct answer: 3. Preaortic

Explanation: Terminal nodes for colon are superior mesenteric and inferior mesenteric nodes (both are preaortic nodes).
Preaortic lymph nodes are :-  coeliac nodes, Superior mesenteric nodes and inferior mesenteric nodes.